Glanders disease is caused by-
1. Burkholderia mallei
2. Diphtheria
3. Mumps
4. Burkholderia pseudomallei

Correct answer: 1. Burkholderia mallei

Explanation: Ans. A. Burkhoideria mallei.a. B. mallei is a GNB, non sporing, non-motile, oxidase negative, facultative anaerobe.b. Causes disease in horses, mules and asses- glanders characterized by nasal abscesses and Farcy buds/pipes.c. Human infection is occupational found in Osier's, grooms and vets.d. Pneumonia and septicemiae. Skin nodules and LNAP followed by disseminationf. The treatment of choice in patients is parenteral ceftazidime/Carbapenem.